'Red velvety' stomach mucosa is seen in poisoning with:
1. Mercury
2. Arsenic
3. Lead
4. Copper

Correct answer: 2. Arsenic

Explanation: Ans. Arsenic